The number of abortions performed divided by the number of live births in the same period is known as-
1. Abortion rate
2. Abortion incidence
3. Abortion prevalence
4. abortion ratio

Correct answer: 4. abortion ratio

Explanation: Abortion ratio 

This is calculated by dividing the number of abortions performed during a particular time period by the number of live births over the same period.